In children with cerebral oedema which one of the following corticosteriods will be effective-
1. Hydrocortisone
2. Prednisolone
3. Dexamethasone
4. Betamethasone

Correct answer: 3. Dexamethasone

Explanation: Ans. is 'c' i.e., Dexamethasone Dexamethasone is preferred.